A patient with cancer developed extreme degree of radiation toxicity. Further history revealed that the dose adjustment of a particular drug was missed during the course of radiotherapy. Which of the following drugs required a dose adjustment during radiotherapy in order to prevent radiation toxicity?
1. Vincristine
2. Dactinomycin
3. Cyclophosphamide
4. 6- Mercaptopurine

Correct answer: 2. Dactinomycin

Explanation: Ans. (B) Dactinomycin(Ref: Katzung 10th/894)Anthracyclines and actinomycin-D (dactinomycin) can cause severe radiation toxicity. This is known as radiation recall syndrome.